Which of the following vaccine should not be kept in freezer:
1. DPT
2. Measles
3. OPV
4. All of the above

Correct answer: 1. DPT

Explanation: Ans. A: DPT Park's PSM,21st ed., p-101 states "Deep freezers are used for making ice packs and to store OPV and measles vaccines" Among the vaccines, polio is the most sensitive to heat, requiring storage at minus 20 degree C. Vaccines which must be stored in the freezer compartment are OPV and measles vaccine. Vaccines which must be stored in cold part but never allowed to freeze are: typhoid, DPT, Tetanus toxoid, DT, BCG, and diluents.